Acceptable ambient temperature of summer in terms of thermal comfort is?
1. 20 to 23°C
2. 23 to 27°C
3. 27-28°C
4. 28 to 32°C

Correct answer: 2. 23 to 27°C

Explanation: Thermal comfort is defined as the state of mind that expresses satisfaction with the thermal environment.
It is influenced by physical and physiological factors.
According to this definition comfort is a subjective sensation. Based on ASHRAE definition the zone of thermal comfort is the span of conditions where 80%
of sedentary or slightly active persons find the environment thermally acceptable.
In terms of climatic condition the acceptable ambient temperature of comfort would be slightly higher in the summer than in the winter, being 23-27°C, respectiviely.